False about Acoustic neuroma is :
1. It is encapsulated
2. It is the most common tumor of cerebellopontine angle
3. It involves inferior vestibular nerve more commonly than superior vestibular nerve
4. It is a malignant tumor

Correct answer: 4. It is a malignant tumor

Explanation: Acoustic neuroma is a benign, encapsulated, slow growing tumor.